All of the following statements about Staphylococcus aureus are true, Except
1. Most common source of infection is cross infection from infected people
2. About 30% of general population is healthy nasal carriers
3. Epidermolysin and TSS toxin are superantigens
4. Methicillin resistance is chromosomally mediated

Correct answer: 1. Most common source of infection is cross infection from infected people

Explanation: The most common source of infection is human patients and carriers Animals and inanimate objects being less important. Ref: Textbook of Microbiology; Ananthanarayanan and Panicker; 10th Edition; Page No: 205